Not true about narcolepsy -
1. Sleep sudden
2. Long duration (>3 hrs) of sleep
3. Cataplexy
4. Presents in IInd decade

Correct answer: 2. Long duration (>3 hrs) of sleep

Explanation: Narcolepsy is characterized by bouts of sudden sleep each lasting for 10-30 minutes occurring during the daytime. Age of onset is between 10-20 years.
Accessory symptoms in Narcolepsy are cataplexy, hypnagogic hallucination, sleep paralysis.